Treatment of choice for OCD :
1. Behavior therapy
2. Drug therapy
3. Psychosurgery
4. Combination of behavior and drug therapy

Correct answer: 4. Combination of behavior and drug therapy

Explanation: D. i.e. Combination of behaviour & drug therapy